Characteristic lesion of scabies is –
1. Burrow
2. Fissure
3. Vesicle
4. Papule

Correct answer: 1. Burrow

Explanation: Burrow is pathognomic of scabies.